In complete denture teeth setting, to achieve a fully balanced occlusion
1. The posterior teeth should have 0° cuspal inclination
2. Cuspal inclination does not play a part
3. The most ideal is 33° cuspal inclination
4. 45° cuspal inclination is a must.

Correct answer: 3. The most ideal is 33° cuspal inclination